The biological anticoagulant is:
1. EDTA
2. Sodium citrate
3. Hirudine
4. Double oxalate mixture

Correct answer: 3. Hirudine